Extent of esophagus is
1. C3 - C6
2. C6 - T11
3. T10 - T12
4. C3 - T6

Correct answer: 2. C6 - T11

Explanation: The esophagus has cervical, thoracic, and abdominal parts, extending from the lower end of the pharynx (C6 vertebrae) to the cardiac opening of the stomach (T11 or 12 vertebral level). It is about 25 to 30 cm long